Which of the following is best in studying the decline in percentage of alcohol usage in men ad women over several years?
1. Pie chart
2. Histogram
3. Frequency polygon
4. Line diagram

Correct answer: 4. Line diagram